Person after seeing clouds says "God has sent me this as signal to save the world"
This is an example for:
1. Delusion
2. Visual Hallucination
3. Delusional perception
4. Somatic passivity

Correct answer: 3. Delusional perception

Explanation: Delusional perception is one of the 11 first rank symptoms where patient attaches a delusional component to normally perceived thing.